Which one of the following is a common side effect of inhaled beclomethasone dipropionate
1. Pneumonia
2. Oropharyngeal candidiasis
3. Atrophic rhinitis
4. Pituitary adrenal suppression

Correct answer: 2. Oropharyngeal candidiasis

Explanation: Most common adverse effect of inhaled corticosteroids is oropharyngeal candidiasis. Pituitary-adrenal suppression is less likely with the inhalational route of corticosteroids .